The health status of children between 0 and 4 years in a community will be adversely affected by all except-
1. Malnutrition
2. Birth weight of less than 2.5 Kg
3. Maternal hemoglobin 12 gm/dL
4. Infections

Correct answer: 3. Maternal hemoglobin 12 gm/dL

Explanation: Ans. is 'c' i.e., Maternal hemoglobin 12gm/dL o Maternal health is a major determinant of nutritional status of children. Child's status is adversely affected if : Mother is malnourished (Anemic) Mother is - too young (under 18 years) Mother is - too old (over 35 years) Last child was born too close (Last child born less than 2 years ago) She already has too many children (more than Para 4) o A hemoglobin of 12 gm/dL in the Indian set up would not be classified as anemia, and indicates an adequate nutritional status. It thus, would not adversely affect the status of a child.